Empirical ATT was started in a patient with FUO. He failed to respond to ATT as the symptoms persisted after few weeks of ATT. How long will you continue the ATT before stopping if no clinical response is noticed?
1. 4 weeks
2. 6 weeks
3. 8 weeks
4. 10 weeks

Correct answer: 2. 6 weeks

Explanation: In FUO patients the therapeutic trial for ATT should be continued for 6 weeks. A failure of fever to respond over this period suggests an alternative diagnosis and ATT should be stopped. Ref: Harrison, Edition-18, Page-164.